Heme synthesis requires
1. Ferrous iron
2. Glycine
3. Succinyl CoA
4. All of these

Correct answer: 4. All of these

Explanation: Heme is synthesized from succinyl CoA, glycine and Iron (ferrous ion).